Nerves I, II, and VIII are devoted to special sensory input. The function of VIIIth cranial nerve is related to:
1. Smell
2. Taste
3. Touch
4. Balance

Correct answer: 4. Balance

Explanation: Cranial nerve VIII is a double nerve that arises from spiral and vestibular ganglia in the labyrinth of the inner ear. It passes into the cranial cavity the internal acoustic meatus and enters the brain stem behind the posterior edge of the middle cerebellar peduncle in the pontocerebellar angle. The cochlear nerve is concerned with hearing; the vestibular nerve is part of the system of equilibrium (position sense). Ref: Waxman S.G. (2010). Chapter 8. Cranial Nerves and Pathways. In S.G. Waxman (Ed), Clinical Neuroanatomy, 26e.